The most common anomaly seen in the fetus of a mother taking lithum carbonate is -
1. Cardiac deformities
2. Neural tube defect
3. Limb reduction
4. Genitourinary de formi ties

Correct answer: 1. Cardiac deformities

Explanation: Ans. is 'a' i.e., Cardiac deformities o It causes Ebstein anomaly.